Mercury affects which part of the kidney
1. PCT
2. DCT
3. Collecting duct
4. Loop of Henle

Correct answer: 1. PCT

Explanation: Ans. is 'a' i.e. PCT Pattern in Acute tubular necrosisIschemic typeTubular necrosis is patchy, relatively short lengths of tubules are affected Straight seg. of proximal tubules and ascending limb of Henle's loop are most vulnerableToxic necrosis MercuryPCT is mainly involvedLeadEntire tubule is damaged